Which artery supplies the caudate and putamen and anterior limb of the internal capsule the medial striate artery (of Heubner)?
1. Anterior cerebral
2. Anterior choroidal
3. Anterior communicating
4. Middle cerebral

Correct answer: 1. Anterior cerebral

Explanation: The anterior cerebral artery supplies part of the caudate nucleus and putamen and anteriorlimb of the internal capsule the medial striate artery (of Heubner) Blood supply of internal capsule: Anterior limb - Ant. cerebral artery by reccurent branch of heubner. Genu - Direct branch of ICA Posterior limb - Ant. choroidal artery (Branch of Internal Carotid Artery)